Pudendal Nerve Block Involve
1. LiL2L3
2. L2L3L4
3. SiS2S3
4. S2S3S4

Correct answer: 4. S2S3S4

Explanation: D i.e. S2 S3 S4